Spinothalamic tract carries ?
1. Proprioception
2. Kinestheisa
3. Two point discrimination
4. Pain and temperature

Correct answer: 4. Pain and temperature

Explanation: Ans. is `d' i.e., Pain and temperature